Testis tumor is associated with secondary hydrocele in
1. 1% of cases
2. 10% of cases
3. 20% of cases
4. 30% of cases

Correct answer: 2. 10% of cases

Explanation: • Approximately 5-10% of testicular tumors may be associated with hydroceles.